Which of the following is freely filtered by kidney across glomerular capillariesa)  Albumin (across glomerular capillaries)b) Globulinc) Creatinined) HCO3 e)  Glucose
1. cde
2. acd
3. bde
4. ade

Correct answer: 1. cde

Explanation: Freely filterable substances by glomerulus
-        Water
-        Na+
-        Cl-
-        HCO3-
-        Inulin
-        Glucose
-        Creatinine
 
-        Free Calcium or phosphate